If transport through a cell membrane requires the expenditure of energy, it is called
1. facilitated diffusion
2. active transport
3. simple diffusion
4. All of the above

Correct answer: 2. active transport

Explanation: Active transport requires expenditure of energy to move molecules through a membrane.